All of the following features can be observed after the injury to axillary nerve, except:
1. Loss of rounded contour of shoulder
2. Loss of sensation along lateral side of upper arm
3. Loss of overhead abduction
4. Atrophy of deltoid muscle

Correct answer: 3. Loss of overhead abduction

Explanation: C i.e. Loss of overhead abduction